In the following periodontal surgeries the one that is
performed first:
1. Infrabony pocket therapy
2. Gingivectomy
3. Apically displaced flap
4. Gingivoplasty

Correct answer: 1. Infrabony pocket therapy